Double stranded RNA virus ?
1. Rotavirus
2. Measles virus
3. Mumps virus
4. Influenza virus

Correct answer: 1. Rotavirus

Explanation: Ans. is 'a' i.e., Rotavirus